A previously healthy 45-yr-old labourer suddenly develops acute lower back pain with right-leg pain & weakness of dorsiflexion of the right great toe. Which of the following is true -
1. Immediate treatment should include analgesics muscle relaxants & back strengthening exercises
2. The appearance of the foot drop indicate early surgical intervention
3. If the nerurological signs resolve within 2 to 3 weeks but low back pain persists, the proper treatment would include fusion of affected Lumbar vertebra
4. If the neurological signs fail to resolve within 1 week, Lumbar laminectomy and excision of any herniated nucleus pulposus should be done

Correct answer: 2. The appearance of the foot drop indicate early surgical intervention

Explanation: Sudden onset of back pain with radiation to lower limb (right leg pain) and weakness of dorsiflexion of the right great toe in a laborer suggest the diagnosis of PID.
Progression of neurological impairment (for example weakness of toe extension to foot drop) is an indication for surgery.